A 40-year-old HIV positive male, presented with complaints of a characteristic rash over his back and buttocks. The rash was painful and has worsened over the past 3 days. Physical examination is unremarkable. Rest of the skin examination is normal. A smear was prepared from the lesions. All of the following drugs are approved for the above condition except: -
1. Acyclovir
2. Valcyclovir
3. Ganciclovir
4. Famciclovir

Correct answer: 3. Ganciclovir

Explanation: This is a case of Herpes zoster/ Shingles. The image shows hemorrhagic vesicles and pustules on an erythematous base in a dermatomal distribution. 2nd image shows a Tzanck smear with classical multinucleate giant cells seen in varicella. Drugs approved are: - Valcyclovir Famciclovir Acyclovir Ganciclovir is approved for CMV infection.